Following are the clinical tests used in diagnosis of CDH -
1. Barlow test
2. Ortolani test
3. Both of the above
4. None of the above

Correct answer: 3. Both of the above

Explanation: Ans. is 'c' i.e., Both of the above